An addict presents with increased sweating, lacrimation, diarrhea, yawning and rhinorrhea. These symptoms may occur due to withdrawal of ?
1. Heroin
2. Cocaine
3. Cannabis
4. Alcohol

Correct answer: 1. Heroin